Tetracycline is more preferred in periodontics because:
1. It is broad spectrum antibiotic
2. It has anticollagenolytic effect
3. All of the above
4. None of the above

Correct answer: 3. All of the above